Sodalime circuit is not used with
1. Enflurane
2. Isoflurane
3. Methoxyflurane
4. Trilene

Correct answer: 4. Trilene

Explanation: D i.e. Trilene